Cytokine for activating macrophage and converting to epitheloid cell or giant cell ?
1. IL2
2. IL 17
3. TNF alpha
4. IFN gamma

Correct answer: 4. IFN gamma

Explanation: Ans. is 'd' i.e., IFN gamma Granulomatous inflammation is a form of chronic inflammation characterized by collections of activated macrophages, often with T lymphocytes, and sometimes associated with central necrosis. These granulomas are type IV hypersensitivity reaction that involves CD4-helper T-cells. Helper T-cells are activated by IL-2 and produce IFN-y (interferon gamma) the major cytokine of granulomatous inflammation. IFN-y induces formation of granuloma by conversion of activated macrophages into epitheloid cells and formation of giant cells by fusion of epithelial cells.